Role of cyclosporine in kidney transplant -
1. Prevention of infection
2. Stimulation immune system
3. Prevention of graft rejection
4. Enhance renal blood flow

Correct answer: 3. Prevention of graft rejection

Explanation: Ans. is 'c' i.e., Prevention of graft rejection o Immune system of body is not always useful, sometimes it may also harm the body, e.g. in autoimmune diseases where immune system destroyes the self antigen (tissues), and in organ transplant where immune system rejects and destroys the transplanted tissue.o In these circumstances, it is necessory to suppress the immune systemo For this purpose immunosuppressant drugs are usedo Immunosuppressants -# These are drugs which inhibit cellular or humoral response or both# These are mainly used in organ transplantation and autoimmune disease.# The drugs are:1. Specific T cell inhibitor (Calcineurin inhibitors)-Cyclosporine, Tacrolimus2. Proliferation signal inhibitors (mTOR inhibitors)-Sirolimus (rapamycin), Everolimus.3. Cytotoxic drugs (antiproliferative drugs)-Azathioprine, Methotrexate, Cyclophosphamide Chlorambucil, Mycophenolate mofetil4. Glucocorticoids-Prednisolone and others5. Antibodies-Muromonab CD3, Antithymocyte globulin (ATG), Rho (D) immunoglobulin6. Miscellaneous-Leflunamide, Thalidomide